Acantholytic cells are seen in
1. Pemphigus vulgaris
2. Bullous pemphigoid
3. Cicatricial pemphigoid
4. Dermatitis herpetiformis

Correct answer: 1. Pemphigus vulgaris

Explanation: Ans. (a) Pemphigus vulgarisHarrison 19th ed. / 370* The rounded keratinocytes with hyperchromatic nuclei and perinuclear halo (due to condensing of cytoplasm in periphery) are called acantholytic cells.* It is seen in case of pemphigus vulgaris* Acantholytic cells can be demonstrated in bed side Tzanck test.